Black colour code is used in four colour code system of triage management in disaster for:
1. Ambulatory patients
2. Low priority patients
3. Dead patients
4. High priority patients

Correct answer: 3. Dead patients

Explanation: Ans. C: Dead patients Black colour in triage indicates dead/ moribund persons Triage After disasters such as earthquakes, hurricanes and train wrecks, triage often includes a system of color coding. The code changes in different countries and regions but four colors are almost universal: Black indicates dead, Red indicates that the patient needs immediate attention, Green indicates that a patient has only minor injuries. Yellow signals medium priority Sometimes the coding medium is as simple as rolls of colored tape. A person with some medical training--and a checklist--goes among the injured and wraps a strip of tape around the leg of an injured person. The checklists for disaster situations tend to be simple and omit injuries that might be hidden by clothing. Most ambulances are required to carry disaster triage checklists and color coding material